Incubation period of Hepatitis A is:
1. 2-4 weeks
2. 4-6 weeks
3. 6-8 weeks
4. 8-10 weeks

Correct answer: 1. 2-4 weeks

Explanation: Ans. A i.e. 2-4 weeks Hepatitis A It is a liver disease caused by the hepatitis A virus. The virus is primarily spread when an uninfected (and unvaccinated) person ingests food or water that is contaminated with the faeces of an infected person. The disease is closely associated with a lack of safe water, inadequate sanitation and poor personal hygiene. Unlike hepatitis B and C, hepatitis A infection does not cause chronic liver disease and is rarely fatal It can cause debilitating symptoms and fulminant hepatitis (acute liver failure), which is associated with high mortality. The incubation period of hepatitis A is usually 14-28 days.